A premature infant is born with a patent ductus arteriosus. Its closure can be stimulated by administration of
1. Prostaglandin analogue
2. Estrogen
3. Anti-estrogen compounds
4. Prostaglandin inhibitors

Correct answer: 4. Prostaglandin inhibitors

Explanation: Before 2 weeks of gestation indomethacin 0.2mg/kg dose orally every 12-24 hr for 3 doses. Ref : Ghai essential pediatrics,eighth edition P.no: 419